All are features of psychosis except ?
1. Loss of insight
2. Presence of delusions
3. Preserved contact with reality
4. Personality disturbances

Correct answer: 3. Preserved contact with reality

Explanation: Ans. is 'c' i.e., Preserved contact with reality Psychosis Psychosis is a mental state involving the loss of contact with reality, causing deterioration of normal social functioning. The characteristic features of psychosis are : - Gross impairment in reality testing, i.e., loss of contact with reality. Marked disturbance in personality and behavior with impairment in social, interpersonal and occupational functioning. Marked impairment in judgement. Loss of insight (insight is an assessment of how aware the patient is of their own mental illness). Presence of characteristic symptoms like delusions and hallucinations, these are called psychotic symptoms. The major psychosis are : ? Organic psychotic disorders, e.g., Delirium, substance related psychosis, head trauma. Non-organic psychoses Major psychoses : - Schizophrenia, mood disorders (depression, mania, bipolar). Other psychotic disorders ( third psychosis): - Delusional disorders, acute and transient psychotic disorders, schizoaffective disorder Neurosis Neurosis is a general term referring to mental distress that, unlike psychosis, does not prevent rational thought and daily functioning. Characteristic features are : - Symptoms cause subjective distress to the patient. Insight is present (symptoms are recognised as undesirable). The personality and behaviour are relatively preserved as is the judgement. The contact with reality is preserved. Absence of organic causative factor Important neurotic disorders are Anxiety disorders (Panic), Phobia (Phobic anxiety disorder), obsessive compulsive disorder, Dissociative conversion disorder.